Dum-Dum bullet is ?
1. Two bullets coming out of muzzle end
2. Bullet rotates end on end during motion
3. Bullet gets fragmented and disintegrated on impact
4. Nose of the bullet is exposed

Correct answer: 4. Nose of the bullet is exposed

Explanation: Nose of the bullet is exposed, so it expands on striking the target, producing larger area of damage.